A two year old child presents with persistent diarrhaea acidic stools and presence of one per cent of reducing substance in the fresh stools. What is the most probable diagnosis ?
1. Cystic fibrosis
2. Lactose intolerance
3. Rotavirus induced diarrhoea
4. Intestinal tuberculosis

Correct answer: 2. Lactose intolerance

Explanation: DISACCHARIDASES DEFECIENCY Lactase defeciency diagnosis based on presence of more than .5%of reducing substance in the fresh stools acidic stools abnormal oral sugar tolerance test breath Hydrogen excretion of more than 11ppm following a loading dose of lactose enzyme assay on mucosal biopsies showing low levels of disaccharidases Ref : ESSENTIAL PEDIATRICS,O.P.GHAI,PG NO:274, 7th edition